Ascending aorta is involved in following types of dissecting aneurysm except
1. Stanford - B
2. Stanford - A
3. DeBakey's - type I
4. DeBakey's - type II

Correct answer: 1. Stanford - B

Explanation: In Stanford - B, only descending aorta is involved.